Which of the following increases BMR ?newe
1. Starvation
2. Obesity
3. Ingestion of food
4. Sleep

Correct answer: 3. Ingestion of food

Explanation: Ans. is 'c' i.e., Ingestion of foodFactors affecting BMR BMR (RMR) represents tissue metabolic activity. Hence BMR is affected by any factor which alters cellular metabolic activity and energy expenditure.i) Factors increasing BMR :- Early age (infancy and childhood), male sex, pregnancy, lactation, recent ingestion of food, (especially proteins), Cold or very hot (uncomfortable) environment, Fever, Hormones (thyroxine, catecholamines, growth hormone), muscular exercise (exertion), Smoking, Caffine, Stress and emotional hyperactivity, and person with tall thin built.ii) Factors decreasing BMR :- Advanced age (adult and old age), female sex, fasting, starvation, (up to 40% decrease in prolonged starvation), malnutrition, hot (comfortable) climate, obesity, sleep, and person with short obese built.